A 35-year-old woman is hospitalized due to cavernous sinus thrombosis resulting from an infection on the face. Which of the following is the most direct route for spread of infection from the face to the cavernous sinus?
1. Pterygoid venous plexus
2. Superior ophthalmic vein
3. Frontal venous plexus
4. Basilar venous plexus

Correct answer: 2. Superior ophthalmic vein

Explanation: The superior ophthalmic vein drains directly into the cavernous sinus. The danger area of the face is located in the triangular region from the lateral angle of the eye to the middle of the upper lip, near the nose, and is drained by the facial vein. The facial vein communicates directly with the cavernous sinus through the superior ophthalmic vein. The pterygoid venous plexus communicates with the cavernous sinus through the inferior ophthalmic vein, but it is not directly connected to the cavernous sinus. The basilar venous plexus connects the inferior petrosal sinuses and communicates with the internal vertebral venous plexus. The parietal emissary veins and frontal venous plexus do not communicate directly with the cavernous sinus.